Which of the following organism is implicated in the causation of botryomycosis
1. Staphylococcus aureus
2. Staphylococcus albus
3. Pseudomonas aeruginosa
4. Streptococcus pneumoniae

Correct answer: 1. Staphylococcus aureus

Explanation: Staphylococcus aureus and other pyogenic bacteria may occasionally cause a mycetoma-like lesion called botryomycosis. Ref: Textbook of Microbiology; Ananthanarayan and Paniker's; 10th Edition; Page No: 401